Which of the following is NOT true of Sturge Weber syndrome?
1. Hennangiomatous involvement of skin
2. Mostly bilateral
3. Port wine nevus
4. Vascular gingival hyperplasia

Correct answer: 2. Mostly bilateral